The protein defective in cystinosis is responsible for
1. Absorption of cysteine from intestine
2. Absorption of cysteine from renal tubules
3. Efflux cysteine from endoplasmic reticulum
4. Efflux of cysteine from lysosome

Correct answer: 4. Efflux of cysteine from lysosome

Explanation: The protein defective in cystinosis is Cystinosin CTNS (lysosomal efflux). Clinical features:- Renal Fanconi's syndrome & Renal failure Rickets Photophobia Hypotonia Do not confuse cystinuria and cystinosis. Cystinosis is a lysosomal storage disease due defective transport of cystine out of lysosomes.